Auditory pathway passes through -
1. Medial geniculate body
2. Lateral geniculate body
3. Reticular formation
4. Cerebellar fornix

Correct answer: 1. Medial geniculate body